The medical indications for circumcision are all except
1. Non-retractile foreskin
2. Paraphimosis
3. Recurrent balanoposthitis
4. Recurrent urinary tract infections

Correct answer: 1. Non-retractile foreskin

Explanation: Phimosis is often wrongly applied to describe a normal, non-retractile foreskin.True phimosis is seen as a whitish scarring of the foreskin and is rare before 5 years of age. It is caused by the localised skin disease balanitis xerotica obliterans (BXO), which also affects the glans penis and can cause urethral meatal stenosisCircumcision is not indicated for an otherwise healthy nonretractile foreskinMedical indications are phimosis, BXO, recurrent balanoposthitis, paraphimosis, scarring from traumaCircumcision is occasionally justified in boys with an abnormal upper urinary tract anomaly and recurrent urinary infection.Ref: Bailey and Love 27e pg: 127